Typical coloboma of iris occurs
1. lnferotemporally
2. Superotemporally
3. Superonasally
4. lnferonasally

Correct answer: 4. lnferonasally

Explanation: CONGENITAL COLOBOMA OF THE UVEAL TRACT Congenital coloboma (absence of tissue) of iris,ciliarybody and choroid may be seen in association or independently. Coloboma may be typical or atypical. Typical coloboma: is seen in the inferonasal quadrant and occurs due to defective closure of the embryonic fissure. Atypical coloboma: is occasionally found in other positions. Ref:- A K KHURANA; pg num:-137